Which of the following is FALSE regarding the endodermal sinus turmor:
1. Malignant germ cell tumor of the ovary
2. Schiller- Duval body is the characteristic histological feature
3. Produces hCG which is a useful tumor marker
4. Surgical staging and unilateral salpingooophorectomy is generally the treatment of choice

Correct answer: 3. Produces hCG which is a useful tumor marker

Explanation: Endodermal sinus tumor (yolk sac tumor) Unilateral & mostly observed between 15-20 yrs of age. Median age of presenation is 16 - 18 years. Its the third most common malignant germ cell tumor of the ovary (most common germ cell malignancy is Dysgerminoma) The characteristic histological feature-Schiller-duval body is seen in EST Most tumors produce Alpha feto protein and rarely Alpha1 antitrypsin. AFP is used for monitoring patient response to treatment. Treatment of choice- Surgical staging and Unilateral Salpingo-oopherectomy All patients have to be treated with adjuvant or therapeutic chemotherapy